The Alkayat and Bramely approach to the TMJ is a modification of the:
1. HemicoronaL approach
2. Retroauricular approach
3. Preauricualr approach
4. Risdon's incision

Correct answer: 3. Preauricualr approach